Teduglutide is a recently introduced drug for Short Bowel Syndrome- What is it?
1. GLP- 2 analogue
2. GLP anta agonist
3. Somatostatin analogue
4. H1 blocker

Correct answer: 1. GLP- 2 analogue

Explanation: Ans. (a) GLP -2 analogueRef: Surgery Sixer 3rd Edition Page 425, Direct lineTeduglutide: GLP-2 analogue:* Randomized controlled trials have shown that teduglutide, a GLP-2 analogue that is resistant to degradation by the proteolytic enzyme dipeptidyl peptidase 4 and therefore has a longer half-life than GLP-2, is well tolerated and has led to the restoration of intestinal functional and structural integrity through significant intestinotrophic and pro absorptive effects.